A five-year-old boy with coarse facial features, intellectual disability, dysostosis multiplex. Corneal clouding was not present. What is the diagnosis:
1. MPS Type IV
2. Hurler disease
3. Hunter disease
4. Gaucher's disease

Correct answer: 3. Hunter disease

Explanation: Coarse facial features is a typical feature of Mucopolysaccharidosis (MPS). Hunter disease : MPS Type II, Iduronate Sulfatase is deficient. X-linked recessive, so occurs exclusively in males. No corneal clouding. Dermatan sulphate & Heparin Sulphate accumulates. Accumulation of Heparin Sulphate leads to intellectual disability. Corneal clouding is present in Hurler disease so option 2 is ruled out